The predominant isoenzyme of LDH in the cardiac muscle is?
1. LDH – 1
2. LDH – 2
3. LDH – 3
4. LDH – 5

Correct answer: 1. LDH – 1

Explanation: In normal plasma LDH-2 is more in concentration than LDH – 1.
In myocardial infarction level of LDH – 1 increases and this leads to altered ratio of LDH.
It means LDH – 1 > LDH – 2.
This altered ratio of the LDH is known as flipped pattern.